The component responsible for allergy in dental casting alloys is
1. Cobalt
2. Nickel
3. Copper
4. Titanium

Correct answer: 2. Nickel

Explanation: Nickel is the most allergenic metal known, with an incidence of allergic reactions between 10% and 20%. Reactions to nickel are more common among women, presumably because of the chronic exposure to nickel through jewellery.
Ref: Phillip’s 12th edition page 127.